Which findings are true in central retinal artery occlusion
1. Direct pupillary reflex-, RAPD +
2. Direct pupillary reflex +, RAPD +
3. Both absent
4. Scalloped pupil

Correct answer: 1. Direct pupillary reflex-, RAPD +

Explanation: Central Retinal Artery Occlusion Signs Pale fundus & optic nerve head. Occasionally disc swelling Direct reflex absent, RAPD + Cherry red spot can be seen over macula Cattle trucking of veins Neovascularization (occasionally)